Dextromethorphan is an:
1. Antihistaminic
2. Antitussive
3. Expectorant
4. Antiallergic

Correct answer: 2. Antitussive

Explanation: Drugs for cough includes: 1. Pharyngeal demulcents: Lozenges, cough drops linctuses containing syrup, glycerine, 2.Expectorants (Mucokinetics) : bronchial secretion enhancers- Sodium or Potassium citrate, Potassium iodide, Ammonium chloride. 3.mucolytics: Bromhexine, Ambroxol, Acetylcysteine, Carbocisteine 3. Antitussives (Cough center suppressants)- used for dry cough (a) Opioids Codeine: Pholcodine. (b) Nonopioids: Noscapine, Dextromethorphan, Chlophedianol. (c) Antihistamines: Chlorpheniramine, Diphen hydramine, Promethazine. (d)peripherally acting: prenoxdiazine 4. Adjuvant antitussives -Bronchodilators Salbutamol, Terbutaline. ESSENTIALS OF MEDICAL PHARMACOLOGY 7TH EDITION KD TRIPATHI Page No:218